The nasopharynx is lined by which epithelium
1. Stratified squamous non-keratinized
2. Ciliated columnar
3. Stratified squamous keratinized
4. Cuboidal

Correct answer: 2. Ciliated columnar

Explanation: The pharyngeal wall consists of 4 layers from within outwards 
1. Mucous membrane: Epithelium is ciliated columnar in the nasopharynx and stratified squamous elsewhere.
2. Pharyngeal aponeurosis (pharyngobasilar fascia).
3. Muscular coat: 2 layers
External layer :
- superior, middle, and inferior constrictors.
​​Internal layer :
- stylopharyngeus, salpingopharyngeus and palatopharyngeus muscle.
4. Buccopharyngeal fascia.